Closure of neural tube begin from
1. Cervical region
2. Cephalic
3. Podalic
4. Lumbar region

Correct answer: 1. Cervical region

Explanation: Closure of neural tube at cervical region.
Cronial neuropore closes by 25th day.
Caudal neuropore closes by 28th day.